Example of the pulp vitality test are all except:
1. Laser doppler flowmetry.
2. EPT
3. Pulse oxymetry.
4. None

Correct answer: 2. EPT